Index for estimating explosion of plague?
1. Cheopis index
2. Total flea index
3. Burrow index
4. None

Correct answer: 1. Cheopis index

Explanation: - cheopis index is the average number of Xenopsylla cheopis per rat. - most significant than total flea index. -it is the best indicator for a potential explosiveness of plague outbreak. Reference : Park's textbook of preventive and social medicine, 23rd edition, pg no:294